Parvo virus cause all of the following except -
1. Aplastic anemia
2. Erythema infectiosum
3. Roseola infantum
4. Arthralgia

Correct answer: 3. Roseola infantum

Explanation: parvo virus causes rrythemainfectiodum,apladti crisis&althralgia- REF:ANATHANARAYANAN MICROBIOLOGY NINTH EDITION PAGE.554